Ideal requisites of barrier membrane include all of the following except
1. Cell occlusivity
2. Tissue compatibility
3. Space making
4. Biodegradable

Correct answer: 4. Biodegradable